Antipseudomonal action is a characteristic of which of the following antimicrobials?
1. Cefopodoxime
2. Cefoperazone
3. Cefotetan
4. Ceforanide

Correct answer: 2. Cefoperazone

Explanation: Cefoperazone is 3rd generation cephalosporin, which is active against gram positive as well as gram negative bacterias. It is one of the few antibiotics that have anti-pseudomonal action. It exerts its action by inhibiting bacterial cell wall growth. Main adverse effect of this drug is Hypothrombinemia and Disulfiram reaction. Ref: Sherwood L. Gorbach, John G. Balett, Neil R. Blacklo (2004), Chapter 19, "Cephalosporins", In the book, "Infectious Diesases", 3rd Edition, Lippincott Publications, USA, Page 196